All of the following decrease in the glomerular filtration rate except
1. Decreased plasma protein levels
2. Increased tubular hydrostatic pressure
3. Decreased effective filtration surface area
4. Decreased capillary hydrostatic pressure

Correct answer: 1. Decreased plasma protein levels

Explanation: Decreased plasma protein levels decrease plasma osmotic pressure and increase plasma hydrostatic pressure, hence GFR increases Ref: Ganong's review of medical physiology; 24th edition; page no; 680